Dose of mifepristone (in mg) for post-coital contraception:
1. 10
2. 20
3. 40
4. 60

Correct answer: 1. 10

Explanation: Ans. A i.e. 10 mg Post-coital contraception. Ten milligrams given within 72 h of unprotected coitus is used as a post-coital contraception